The segmental division of liver into eight segments is based on
1. Hepatic veins alone
2. Portal vein alone
3. Hepatic veins and common hepatic artery
4. Hepatic veins and portal veins

Correct answer: 4. Hepatic veins and portal veins

Explanation: Right hepatic vein divides the right lobe into anterior (V VIII) and posterior segments ( VI-VII) Middle hepatic vein divides the liver into right and left lobes. This plane runs from the inferior vena cava to the gallbladder fossa. The Falciform ligament divides the left lobe into a medial- segment IV and a lateral part - segment II and III. The portal vein divides the liver into upper and lower segments. The left and right portal veins branch superiorly and inferiorly to project into the center of each segment. ref - researchgate.net